How many hours after injury are activated fibroblasts, myofibroblasts, and capillary sprouts most abundant in the wound of a 29-year-old carpenter who receives a traumatic laceration?
1. 3 to 6 hours
2. 12 to 24 hours
3. 3 to 5 days
4. 8 to 10 days

Correct answer: 3. 3 to 5 days

Explanation: Activated fibroblasts, myofibroblasts, and capillary sprouts are abundant in healing wounds 3 to 5 days following injury. Activated fibroblasts change shape from oval to bipolar as they begin to form collagen and synthesize a variety of extracellular matrix proteins. -Neutrophils accumulate in the wound 12 to 24 hours after injury (choice B). -Mature scar tissue would be visible 2 weeks following injury. Diagnosis: Healing by primary intention